In a normal person at resting condition GFR is
1. 125 ml/min
2. 90 ml/min
3. 60 ml/min
4. 150 ml/min

Correct answer: 1. 125 ml/min

Explanation: The GFR in a healthy person of average size is approximately 125 mL/min.